Cities tritaenorrhyncus transmits -
1. Dengue fever
2. Yellow fever
3. KFD
4. Japanese encephalitis

Correct answer: 4. Japanese encephalitis

Explanation: Ans. is 'd' i.e., Japanese encephalitis Dengue transmitted by Aedes Yellow fever transmitted by Aedes K.FD transmitted by Hard tick